Characteristic feature of pemphigus vulgaris:
1. Sub epidermal bullae
2. Acantholysis
3. Negative Nikolsky's sign
4. Bullae on erythematous base

Correct answer: 2. Acantholysis

Explanation: Ans. b. AcantholysisSubepidermal bullae on erythematous base with negative Nikolsky sign is seen in bullous pemphigoid